Which of the following is true for thyrotoxicosis:
1. In Grave's disease antibodies are formed to TSH receptors which result in excessive thyroxine secretion
2. Hashimoto's thyroiditis occurs in young males
3. In primary hypothyroidism, decreased TSH levels are seen
4. In Grave's disease no antibodies are formed to TSH receptors which result in decreased thyroxine secretion

Correct answer: 1. In Grave's disease antibodies are formed to TSH receptors which result in excessive thyroxine secretion